Mode of action of depolarizing and non-depolarizing neuromuscular blocker?
1. Depolarizing - no repolarization, non-depolarizing - competitive inhibition
2. Both competitive inhibitors
3. Non-depolarizing - no repolarization; depolarizing - no depolarizin
4. Depolarizing - persistent depolarization no depolarizing - no repolarization

Correct answer: 1. Depolarizing - no repolarization, non-depolarizing - competitive inhibition

Explanation: Depolarizing neuromuscular block-persistent depolarization / no repolarization Non depolarizing - competitive inhibition Succinylcholine is the only depolarising neuromuscular blocker rest all neuromuscular blocker in clinical use are nondepolarising neuromuscular blocker.